What erupts from unerupted tooth :
1. Dental cyst
2. Dentigerous cyst
3. Both of the above
4. None of the above

Correct answer: 2. Dentigerous cyst

Explanation: Essentials for diagnosis of a Dentigerous cyst: Epithelial-lined, developmental, odontogenic cysts. Second most common type of jaw cyst associated with the crown of an impacted, unerupted, or developing tooth. Well-defined, radiolucent, sometimes expansile lesion. Usually slow growing and benign. Initially asymptomatic unless long-standing with significant enlargement or secondary infection. Usually discovered on routine dental X-rays. Requires histopathologic examination for diagnosis. Ref : Smith R.A. (2012). Chapter 25. Jaw Cysts. In A.K. Lalwani (Ed), CURRENT Diagnosis & Treatment in Otolaryngology--Head & Neck Surgery, 3e.